Infidelity & jealousy involving spouse is the thought content of which disorder -
1. Capgras syndrome
2. Othello syndrome
3. Hypochondrial paranomia
4. Declerambault's syndrome

Correct answer: 2. Othello syndrome